Which of these hormones is the highest during luteal phase of the menstrual cycle?
1. LH
2. FSH
3. Estrogen
4. Progesterone

Correct answer: 4. Progesterone

Explanation: Luteal/ secretory phase is Progesterone dominant Follicular/ Proliferative phase is estrogen dominant.